Which of the following vasopressors woul be preferred in a patient with aortic stenosis
1. Ephedrine
2. Dopamine
3. Dobutamine
4. Phenylephrine

Correct answer: 4. Phenylephrine